Major part of intrinsic muscles of hand are innervated by
1. Ulnar Nerve
2. Radial Nerve
3. Median Nerve
4. Musculocutaneous nerve

Correct answer: 1. Ulnar Nerve

Explanation: Median nerve supplies abductor pollicis brevis, flexor pollicis brevis and opponens pollicis ( muscles of thenar eminence).Ulnar nerve supplies adductor pollicis, palmaris brevis, abductor digiti minimi, flexor digiti minimi, opponens digiti minimi, 4 lumbricals, 4 dorsal and 4 palmar interossei.Radial nerve doesn't supply any intrinsic muscle of hand.B D Chaurasia 7th edition Page no : 119